Lymphatic drainage of the outer upper quadrant of the breast is mainly to:
1. Anterior axillary group
2. Internal mammary group
3. Posterior axillary group
4. Apical nodes

Correct answer: 1. Anterior axillary group

Explanation: Ans: a (Anterior axillary nodes) Ref: BDC Vol. I, 4th ed, p. 42About 75% of the lymphatics from the breast drain into the axillary nodes. Among the axillary nodes, the lymphatics mostly end in the anterior group (pectoral group), closely related to the axillary tail of the breast.